Smokeless gunpowder is composed of -
1. KMnO4
2. HCN
3. Nitrocellulose
4. Sulphur

Correct answer: 3. Nitrocellulose